In the work of breathing, tissue resistance contributes ___% fraction:
1. 7%
2. 14%
3. 28%
4. 65%

Correct answer: 1. 7%

Explanation: Work done = load x displacement. In the context of lungs, load is analogous to pressure and displacement is volume expansion of lungs. Hence, work of breathing = DP X DV. Thus, work done can be calculated as area covered under the inspiratory curve in compliance diagram. Of the total inspiratory work, 65% work is elastic work or compliance work. Remaining 35% is non-elastic work - (28% is airway resistance work, 7% is tissue resistance work.)